Which of the following gene mutations is most commonly associated with systemic mastocytosis?
1. CALR
2. JAK2
3. KIT
4. MPL

Correct answer: 3. KIT

Explanation: Myeloproliferative neoplasms Disorder Mutation/Translocation Chronic myeloid leukemia BCR-ABL1 fusion/translocation Polycythemia vera JAK2 mutations Essential thrombocythemia/Primary myelofibrosis JAK2, CALR, MPL mutations Systemic mastocytosis KIT mutations Chronic eosinophilic leukemia FIP1L1-PDGFRA fusion genePDE4DIP-PDGFRB fusion gene Chronic neutrophilic leukemia CSF3R mutations Myeloid neoplasms with eosinophilia Various fusion genes involving FGFR1, PDGFRA, PDGFRB, or JAK2